Prion is a?
1. DNA
2. RNA
3. Protein
4. Polysacchride

Correct answer: 3. Protein

Explanation: ANSWER: (C) ProteinREF: Harrisons 18th ed chapter 383Prions are infectious proteins that cause degeneration of the central nervous system (CNS). Prion diseases are disorders of protein conformation, the most common of which in humans is called Creutzfeldt-Jakob diseaseDiseaseHostMechanism of PathogenesisHuman KuruFore peopleInfection through ritualistic cannibalismiCJDHumansInfection from prion-contaminated hGH, duramater grafts, etc.vCJDHumansInfection from bovine prionfCJDHumansGerm-line mutations in PRNPGSSHumansGerm-line mutations in PRNPFFlHumansGerm-line mutation in PRNP (D178N, Ml29)sCJDHumansSomatic mutation or spontaneous conversionof PrPC into PrPSc sFIHumansSomatic mutation or spontaneous conversionof PrPC into PrPScCJD = Creutzfeldt-Jakob disease; FFI= fatal familial insomnia, GSS= Gerstmann-Straussler-Scheinker disease